Side effects of thiazides may include :
1. Hypokalemia
2. Hyperuricemia
3. Hyperglycemia
4. All of above

Correct answer: 4. All of above